Most common vasculitis in children:
1. Kawasaki disease
2. Takayasu disease
3. HSP
4. Microscopic PAN

Correct answer: 3. HSP

Explanation: c. HSP(Ref: Nelson's 20/e p 1216-1217, Ghai 8/e p 632-633)Henoch-Schonlein purpura (HSP) is the most common vasculitis of childhood.